Bleeding time is increased in all except:
1. Thrombocytopenia
2. Thrombasthenia
3. Renal failure
4. Acquired hemophilia

Correct answer: 4. Acquired hemophilia

Explanation: aPTT is increased in acquired hemophilia Glanzmann's Thrombasthenia: AR, platelet lack receptor of Gp IIb/IIIa for fibrinogen, which form the bridges between platelets during aggregation. Glanzmann's thrombasthenia is a defect of platelet function(aggregation). It presents as superficial mucocutaneous bleeding with normal platelet count and single isolated platelets without clumping on peripheral smear. Platelet numbers and morphology are normal, but the bleeding time is markedly prolonged. Platelet dysfunction in renal failure is due retention of uremic toxins, anemia,and nitric oxide.